The heart to the activated sludge process is -
1. Primary sedimentation tank
2. Sludge digestor
3. Aeration tank
4. Final settling tank

Correct answer: 3. Aeration tank

Explanation: The heart of activated sludge process is aeration tank. The effluent from primary sedimentation tank is mixed with sludge drawn from the final settling tank,rich in aerobic bacteria.The mixture is subjected to aeration in aeration chamber for about 6 to 8 hours.During aeration organic matter get oxidised to carbon dioxide,nitrates,and water with help of aerobic bacteria in activated sludge.The typhoid and cholera organisms get destroyed and coliforms are reduced. Parks textbook of preventive and social medicine.K Park. Edition 23. page no:764